Type I MEN involves all except-
1. Pancreas
2. Adrenal
3. Pituitary
4. Parathyroid

Correct answer: 2. Adrenal

Explanation: MEN type 1 (MEN 1), which is also referred to as Wermer's syndrome, is characterized by the triad of tumors involving the parathyroids, pancreatic islets (gastrinomas, insulinomas, nonfunctioning and PPoma, glucagonoma, VIPoma) and anterior pituitary (prolactinoma, somatotrophinoma, coicotropinoma, nonfunctioning). Reference : page 2335-36 Harrison's Principles of Internal Medicine 19th edition